The Halstead Reitan battery test involves all except
1. Finger oscillation
2. Rhythm
3. Constructional praxias
4. Tactual performance

Correct answer: 3. Constructional praxias

Explanation: Halstead reitan battery is a type of neuropsychological assessment. It helps in assessment of general cognitive functions.it comprises a lot of components like finger ossicillation , rhythm and tactal performance. Constructional apraxia is used in MMSE, Mini Mental State Examination used in Flostein Ref.Kaplon and sadock, synopsis of psychiatry, 11 th edition, pg no. 241